Which of the following is a favourable prognostic factor in a case of neuroblastoma?
1. Diploidy
2. N-myc amplification
3. Chromosome / p depletion
4. Trk A expression

Correct answer: 4. Trk A expression

Explanation: High level expression of Trk A gene is associated with a favourable outcome in neuroblastoma. Favorable prognostic factors in neuroblastoma are: Age less than 1 year, Stage I and II, hyperdiploid or near diploid tumors. Ref: Robbins Pathologic Basis of Disease, 6th Edition, Page 485, 487